TRUE about neurocysticercosis is:
1. Seizures due to neurocysticercosis are resistant to anti epileptic drugs
2. Albendazole is superior to praziquantel in the treatment of neurocysticercosis
3. Steroids are used in the management of hydrocephalus
4. Common presentation is 6th Cranial Nerve palsy and hemiparesis

Correct answer: 2. Albendazole is superior to praziquantel in the treatment of neurocysticercosis

Explanation: Albendazole is the drug of choice, although albendazole and praziquantel are both effective treatments. Due to the following reasons albendazole is superior than praziquantel. Albendazole penetrates the subarachnoid space better than praziquantel The treatment course for albendazole is shorter (1 week) than that of praziquantel (2 weeks) Albendazole is cheap and cost effective Co-administered albendazole and steroid results in increased albendazole absorption, whereas co-administration of praziquantel and steroid decreases the plasma levels of praziquantel. Thus albendazole is superior to praziquantel. Ref: Harrison's Principle of Internal Medicine, 16th Edition, Page 2487 ; Surgical Diseases in Tropical Countries By Sood, Page 63